Portal Acinus in liver is centerd on?
1. Central vein
2. Hepatic arteriole
3. Portal tract
4. Bile ductule

Correct answer: 2. Hepatic arteriole

Explanation: Portal Lobules - The vessels in a portal triad usually give branches to parts of three adjoining lobules. The area of liver tissue (comprising parts of three hepatic lobules) supplied by one branch of the portal vein is regarded by many authorities as the true functional unit of liver tissue, and is referred to as a portal lobule. A still smaller unit, the portal acinus has also been described. It consists of a diamond shaped area of liver tissue supplied by one hepatic arteriole running along the line of junction of two hepatic lobules. Two central veins lie at the ends of the acinus. REF: Inderbir Singh's Textbook of Human Histology, Seventh edition, pg.no., 289.